A 50-year old male, working as a hotel cook, has four dependent family members. He has been diagnosed with an early stage squamous cell cancer of anal canal. He has more than 60% chances of cure. The best treatment option is:
1. Abdomino-perineal resection
2. Combined surgery and radiotherapy
3. Combined chemotherapy and radiotherapy
4. Chemotherapy alone

Correct answer: 3. Combined chemotherapy and radiotherapy

Explanation: Answer is C (Combined chemotherapy and Radiotherapy) A combination of chemotherapy and radiotherapy called as 'chemoradiation' is the preferred initial therapy for all anal canal tumors - Bailey